In myopia there is
1. Increased length of eyeball
2. Decreased length of eyeball
3. Decreased refractive power of cornea
4. Lens is dislocated posteriorly

Correct answer: 1. Increased length of eyeball

Explanation: (A) Increased length of eyeball > Myopia ("nearsightedness" (AmE), "shortsightedness" (BrE)) is a refractive defect of the eye in which collimated light produces image focus in front of the retina under conditions of accommodation.> Axial myopia is attributed to an increase in the eye's axial length.